Mesothelioma associated with which variety of asbestos ?
1. Serpentine
2. Amphibole
3. Both the above
4. None of the above

Correct answer: 2. Amphibole

Explanation: Ans. is 'b' i.e., Amphibole Asbestos-Related DiseasesAsbestos is a family of proinflammatory crystalline hydrated silicates that are associated with pulmonary fibrosis, carcinoma, mesothelioma, and other cancers.There are two distinct geometric forms of asbestosi) Serpentine (chrysolite) - most of the asbestos used in industryii) Amphibole (crocidolite)Both serpentine and amphibole can cause all asbestos related diseases except for mesothelioma, which is usually associated with amphibole (crocidolite).